Physical quality of life index includes -
1. IMR, Literacy, Life expectancy at birth
2. IMR, Literacy, Life expectancy at one year
3. MMR, IMR and Life expectancy
4. MMR, intake of calories per capita and

Correct answer: 2. IMR, Literacy, Life expectancy at one year

Explanation: Ans. is 'b' i.e., IMR, Literacy, Life expectancy at one year